Endolymph in the inner ear
1. Is a filterate of blood serum
2. Is secreted by Stria vascularis
3. Is secreted by Basilar membrane
4. Is secreted by Hair cells

Correct answer: 2. Is secreted by Stria vascularis

Explanation: Endolymph fills the membranous labyrinth and rich in K ions and is secreted by stria vascularis and the dark cells present in the utricle and near the ampullated end of semicircular ducts. Reference Dhingra 6th edition pg-24.